Homonymous hemianopia is seen in lesion of -a) Optic tractb) Optic chiasmac) Optic radiationd) Optic nervee) Occipital cortex
1. ace
2. bde
3. cde
4. ade

Correct answer: 1. ace

Explanation: Important facts about visual pathway lesions

Homonymous hemianopia occurs in lesions of optic tract, lateral geniculated body, total optic radiation, anterior occipital cortex.
Pupillary reflex is normal in lesions beyond optic tract (lateral geniculate body, optic radiation, occipital cortex) as fibres responsible for pupillary reflex leave optic tract to reach pretectal nucleus.
Descending optic atrophy does not occur in lesions beyond lateral geniculats body as the 2nd order neurons (optic nerve fibres) synapse in lateral geniculate body.